Predominantly, for management of which one of the following resources is the critical path method (CPM) used as one of the health administration techniques-
1. Money
2. Manpower
3. Time
4. Material

Correct answer: 3. Time

Explanation: The longer path of the network is called critical path .If any activity along the critical path is delayed,the entire project will be delayed (refer pgno:872 park 23 rd edition)